For diagnosis of diabetes mellitus, Fasting blood glucose level should be more than -
1. 126 mg/dl
2. 140 mg/dt
3. 100 mg/dl
4. 200 mg/dl

Correct answer: 1. 126 mg/dl

Explanation: Ans. is 'a' i.e., 126 mg/di DIAGNOSTIC CRITERIA FOR DIABETES1) Symptoms of diabeticsplusrandom blood glucose concentration >200 mg/dl.(Random is defined as without regard to time since last meal)or2) Fasting plasma glucoseQ > (126 mg/dl)or3)Two hour plasma glucoseQ > (200mg/dl) during an oral GTTor4) A1C > 6.5% (Added in 18th/ep. 2969)o The random blood sugar level does not meet the criteria for diabetes where as fasting blood glucose far exceeds the required level.o The diagnosis of diabetes cannot be made only with fasting blood glucose > 126 mg/dL.o So the next best step is to either repeat the test or perform oral G..1. T.o Harrison further adds that in the absence of unequivocal hyperglycemia and acute metabolic decompensation these criterias should be confirmed by repeat testing on a different day.o Benedicts test is a qualitative test for detecting the presence of sugar in urine so there is no use in repeating it.